Which of the following is false about mycetoma ?
1. Can affect lower and upper extremities
2. Caused by actinomycetes and filamentous fungi
3. Diagnosis is by examination of pus
4. Uncommon in India

Correct answer: 4. Uncommon in India

Explanation: Ans. is 'd' i.e., Uncommon in India . Mycetoma was originally reported from 'Madura', South India, and is therefore commonly known as Madura mycosis or Madura foot. It is quite common in Tamil Nadu in India.